To study the malignant tumour of the jaw bone, the radio-nuclide used is
1. Gallium 67 citrate
2. Technitium 99m labelled iodine
3. Technitium 99m per technitate
4. Technitium 99m methylene diphosphate (MDP)

Correct answer: 4. Technitium 99m methylene diphosphate (MDP)